Relaxation of mesangial cells is caused by
1. Histamine
2. Dopamine
3. Angiotension 2
4. Vasopressin

Correct answer: 2. Dopamine

Explanation: Dopamine causes relaxation of mesangial cells. Other three are agents causing contraction.Ref: Ganong's Review of Medical Physiology, 23rd edition, page no: 646